Which of the following increases uric acid excretion ?
1. Allopurinol
2. Aspirin
3. Colchicine
4. Probenecid

Correct answer: 4. Probenecid